Malabsorption is caused by all except:
1. Ascaris lumbricoides
2. Stronglyoides
3. Capillaria philiphinesis
4. Giardia lamblia

Correct answer: 1. Ascaris lumbricoides

Explanation: Ascaris lumbricoides